Which of the following age group, falls under early adolescence age group:
1. 8-<10 years
2. 10-13 years
3. 14-16 years
4. 17-19 years

Correct answer: 2. 10-13 years

Explanation: b. 10-13 years(Ref: Nelson's 20/e p 926-929, Ghai 8/e p 63-69)Adolescent groupEarlyMiddleLateAge range10 - 13 years14 - 16 years17 - 19 years